False about Ethylene oxide is
1. It has high penetration power
2. It is highly inflammable
3. Sterilization control used is Bacillus pumilus
4. Ethylene oxide is irritant and Carcinogenic.

Correct answer: 3. Sterilization control used is Bacillus pumilus

Explanation: Sterilization control Bacillus globigii.